Erysipelas is caused by
1. Erysipelothrix rhusiopathie
2. Group A beta hemolytic streptococci
3. Trichophyton rubrum
4. Pseudomonas aeroginosa

Correct answer: 2. Group A beta hemolytic streptococci

Explanation: Erysipelas It is a streptococcal infection of the skin involving the upper subcutaneous tissue and lymphatic vessels. Rarely, Staph. aureus may be the causative agent. causative organism Group A beta haemolytic streptococci The organisms enter through a wound, injury or even subclinically traumatized skin. Edema of tissues is mostly of lymphatic origin, and in recurrent cases there may be a defect in lymphatic drainage. Systemic predisposing factors are malnutrition, general ill health and alcoholism. The lesion begins as a small area of redness which generally goes unnoticed. In a day it enlarges and is associated with abrupt high fever. The skin feels tense, erythematous and slightly elevated. It becomes brawny, edematous, indurated (peau d'orange or orange peel appearance) and spreads peripherally The sites commonly affected are the abdominal wall in infants, and the face or a limb in children. The facial variety involves the bridge of the nose and one or both cheeks Iadvl textbook of dermatology page 232